Which of the following is not an example of disorder of perception?
1. Illusion
2. Hallucination
3. Pseudohalluciation
4. Delusion

Correct answer: 4. Delusion

Explanation: Delusion is not a disorder of perception, it is a disorder of thought. To be more specific, delusion is a disorder of content of thought. It is defined as a false,firm and unshakable belief that cannot be explained on the basis of person's social and cultural background. llusions, Hallucinations and Pseudo hallucinations are all disorders of perception of thought